Glucose is reabsorbed at:
1. PCT
2. DCT
3. Collecting duct
4. All of the above

Correct answer: 1. PCT

Explanation: Ans. A: PCTGlucose, amino acids, and bicarbonate are reabsorbed along with Na+ in the early portion of the proximal tubule. Farther along the tubule, Na+ is reabsorbed with Cl-. Glucose is typical of substances removed from the urine by secondary active transport. It is filtered at a rate of approximately 100 mg/ min (80 mg/ dL of plasma x 125 mL/ min). Essentially all of the glucose is reabsorbed, and no more than a few milligrams appear in the urine per 24 hours.